Progesterone is synthesized from
1. Pregnenolone
2. 17-Hydroxypregnenolone
3. Pregnanediol
4. Pregnanetriol

Correct answer: 1. Pregnenolone

Explanation: Pregnenolone is converted to progesterone by the action of two smooth endoplasmic reticulum enzymes, 3a-hydroxysteroid dehydrogenase (3a-OHSD) and D5,4-isomerase.Ref: Harper's Biochemistry; 30th edition; Page no: 503